Infant presented with bony pain and some dematitis in scalp. Skull x-ray is given below. Electron microscopy of biopsy from a lesion is given below. What is the most  probable diagnosis?
1. Multiple myeloma
2. Thalassemia
3. Langerhans cell histiocytosis
4. AML

Correct answer: 3. Langerhans cell histiocytosis